Circumcorneal congestion is not seen in
1. Acute bacterial conjuctivitis
2. Acute iritis
3. Acute glaucoma
4. Scleritis

Correct answer: 1. Acute bacterial conjuctivitis

Explanation: Acute bacterial conjunctivitis Conjunctival congestion, which is more marked in palpebral conjunctiva, fornices and peripheral part of bulbar conjuctiva, giving the appearance of fiery red eye. The congetion is typically less marked in circumcorneal zone. Ref;A.K.Khurana; 6th edition; Page no:63 REF IMG